Most important prognostic factor for colorectal carcinoma is
1. Site of lesion
2. Tumour size & characteristics
3. Age of patient
4. Lymph node status

Correct answer: 4. Lymph node status

Explanation: "The number of positive nodes appeared to be the single most important prognostic factor."-DeVita